A patient, Rama was diagnosed to be having febrile convulsions in the paediatric emergency. Which of the following can be used for the treatment of this patient?
1. Intramuscular phenobarbitone
2. Intravenous phenytoin
3. Rectal diazepam
4. Oral sodium valproate

Correct answer: 3. Rectal diazepam

Explanation: Diazepam is the drug of choice for febrile convulsions. It is administered intravenously. If i.v. access is not possible, rectal diazepam can be used. Diazepam can be given to counter the overdose of local anesthetic drug